Most common cranial nerve involved in ophthalmoplegic migraine is:
1. II nerve
2. III nerve
3. V nerve
4. VI nerve

Correct answer: 2. III nerve

Explanation: Ans. III nerve